Sabin fleldman dye test is used for -
1. Toxoplasmosis
2. Syphilis
3. Herpes genitalis
4. Gardenellavaginalis

Correct answer: 1. Toxoplasmosis

Explanation: Ans. is 'a1 i.e., Toxoplasmosis Sabin-Feldman dye testo A Sabin-Feldman dye test is a serologic test to diagnose for toxoplasmosis.o The test is based on the presence of certain antibodies that prevent methylene blue dye from entering the cytoplasm of Toxoplasma organisms.o Patient serum is treated with Toxoplasma trophozoites and complements as activator, and then incubated. After incubation, methylene blue is added.o If anti-Toxo antibodies are present in the serum, because these antibodies are activated by complements and lyse the parasite membrane, Toxoplasma trophozoites are not stained (positive result); if there are no antibodies, trophozoites with intact membrane are stained and appear blue under microscope (negative result).